In a neonate, Jaundice appears for the first time in the 2nd week. The following is not a cause
1. Galactosemia
2. Rh Incompatibility
3. Hypothyroidism
4. Breast milk jaundice

Correct answer: 2. Rh Incompatibility

Explanation: In case of rh incompatibility the baby may have jaundice within 24 hrs and not late. Reference: GHAI Essential pediatrics, 8th edition